True about first order kinetics of elimination -
1. Constant amount of drug is eliminated
2. Rate of elimination is not related to plasma concentration
3. Clearance remains constant
4. Half life decreases with decreased concentration

Correct answer: 3. Clearance remains constant

Explanation: Ans. C. Clearance remains constantFirst order kinetics:Rate of elimination is directly proportional to Plasma Concentration.Clearance remains constant -Due to increasing plasma concentration, increases the rate of elimination proportionately.(CL = rate of elimination / Plasma Conc).Half life remains constant -Due to time required to reduce plasma concentration to half is same (rate of eliminationchange proportionately with plasma concentration).